Massive splenomegaly is least likely to occur in
1. CML
2. Primary thrombocytosis
3. PCV
4. Primary myelofibrosis

Correct answer: 2. Primary thrombocytosis

Explanation: Thrombocytosis is defined as a platelet count greater than 400 x 109/L. ... The presence of chronic thrombocytosis, thrombohemorrhagic complications, microvascular symptoms, or splenomegaly favors the diagnosis of primary thrombocytosis. Spleenomegaly is least likely to occur. Ref ganong's review of medical physiology 25e